An 18-year-old G2P1L1 with a last menstrual period of May 7 presents for her first OB visit at 10 weeks. The patient had a previous pregnancy complicated by gestational diabetes and delivered a 4.2kg baby boy cesarean section after a long labor. All of the following should be performed at each prenatal visit except
1. Fetal heart tones by Doppler equipment
2. Real-time ultrasound for estimated fetal weight
3. Maternal blood pressure
4. Urinalysis

Correct answer: 2. Real-time ultrasound for estimated fetal weight

Explanation: (Cunningham, 21/e, pp 227-229.) At every return OB visit, pregnant women should have evaluation of their blood pressure and weight. In addition, fetal heart tones should be checked and a urinalysis should be performed. Ultrasound for estimated fetal weight would only be recommended if fundal height measurements do not correspond with gestational age.